The world health organization's objective in dental health is that by the year 2000 a person, at age of 12, shall not have decayed, missing and filled teeth (DMF) more than:
1. 1
2. 2
3. 3
4. 4

Correct answer: 3. 3